A person came to eye OPD for routine eye check. On snellen's chart he was found to read 6/6 in both eyes. What is the largest approximate distance at which he would be able to read the first topmost letter
1. 36 m
2. 24 m
3. 60 m
4. 1 m

Correct answer: 3. 60 m

Explanation: What does 6/6 mean in Snellen's chart * It means that the patient with or without glasses can see the letter at a distance of 6 m which a person normally should have been seeing at 6 m Now you would understand it by next example * 6/12 means a letter which a normal patient should be seeing at 12 metre , this patient can see only when he is nearer, that means 6 metre from Target * 6/60 means that a normal patient should be seeing at 60 metre, but this patient has to be much closer that means 6 metre * This also means that the letter written at 6/60 is big enough that 6/6 vision person can read it at even 60 metre